Measure of primary prevention of hypertension include all of the following except -
1. Weight reduction
2. Exercise promotion
3. Reduction of salt intake
4. Early diagnosis of hypertension

Correct answer: 4. Early diagnosis of hypertension

Explanation: Primary prevention of hypertension
Nutrition

Reduction in salt intake
Moderate fat intake
Avoidance of high alcohol intake
Restriction of energy intake appropriate to body needs


Weight reduction
Exercise promotion
Behavioral changes → Reduction of stress, avoidance of smoking.
Health education
Self care → To take own BP

Secondary prevention in hypertension

Early case detection (Early diagnosis)
Treatment
Patient - compliance